Oprelvekin is a
1. IL - 1 analogue
2. IL - 6 analogue
3. IL - 11 analogue
4. IL - 13 analogue

Correct answer: 3. IL - 11 analogue

Explanation: Oprelvekin is a IL - 11 analogue that stimulates thrombopoiesis used in thrombocytopenia due to chemotherapy.